Windsock appearance on barium is seen in?
1. Duodenal perforation
2. Duodenal ulcer
3. Brunner gland hyperplasia
4. Internal duodenal diverticulum

Correct answer: 4. Internal duodenal diverticulum

Explanation: Ans DWindsock appearanceQ is intraduodenal barium contrast- filled sac that is surrounded by a narrow lucent line seen in intraduodenal diverticulumQ.